Positive hepatojugular reflux is found in conditions except:
1. Tricuspid regurgitation
2. Right heart failure
3. Decreased after load
4. PS

Correct answer: 3. Decreased after load

Explanation: Answer is C (Decreased after load) Hepatojugular reflux results from an increase in preload and afterload to the right atrium and ventricle (and not by a decrease in after load). Hepatojugular reflux is a characteristic feature of Right ventricular, failure. Tricuspid regurgitation and Puhnonic stenosis are both causes of right ventricular failure and may hence produce a positive hepatojugular reflux.